Which of the following foramina allows cerebrospinal fluid to pass directly from the ventricular system into the subarachnoid space?
1. Foramen of Magendie
2. Aqueduct of Sylvius
3. Third ventricle
4. Lateral ventricle

Correct answer: 1. Foramen of Magendie

Explanation: The foramen of Magendie and the two lateral foramina of Luschka form the communication channels between the ventricular system within the brain and the subarachnoid space that lies outside the brain and spinal cord.